Primary peritonitis is more common in females because :
1. Ostia of Fallopian tubes communicate with abdominal cavity
2. Peritoneum overlies the uterus
3. Rupture of functional ovarian cysts
4. None of the above

Correct answer: 1. Ostia of Fallopian tubes communicate with abdominal cavity

Explanation: Ans. is a i.e. Ostia of fallopian tubes communicate with abdominal cavity Primary peritonitis refers to inflammation of peritoneal cavity without a documented source of contamination. "It occurs more commonly in children than adults and in women than in men. The later distribution is explained by entry of organisms into the peritoneal cavity through the fallopian tubes."